All are true about starting of β-blocker therapy in a case of CHF except -
1. They should be started with optimal doses
2. They should be gradually increased over weeks
3. Special precautions should be taken in cases of NYHA class III and IV
4. Carvedilol and Metoprolol are the preferred drugs

Correct answer: 1. They should be started with optimal doses